All the following drugs are known to cause anterior uveitis except
1. Rifabutin
2. Cidofovir
3. Metipranolol
4. Gatifloxacin

Correct answer: 4. Gatifloxacin

Explanation: 1. Rifabutin is used mainly in the management and prophylaxis of mycobacterial infections. It may cause acute anterior uveitis. 2. Cidofovir is used in the management of cytomegalovirus (CMV) retinitis in acquired immunodeficiency syndrome (AIDS). AAU with few cells but marked fibrinous exudate may develop following repeated intravenous infusions. 3. Systemic administration of fluoroquinolone antibiotics, particularly moxifloxacin, has been associated with acute extensive anterior segment pigment dispersal.Gatifloxacin does not cause anterior uveitis. 4. Bisphosphonates, TNF alpha inhibitors, Sulphonamides can also cause uveitis. 5. Metipranolol is an antiglaucoma drug not used now a days commonly.It is also well known to cause anterior uveitis.